The fact that the kidneys of a 32-year-old female patient were failing required that she be placed on dialysis. However, the search in her upper limb for a suitable vein was unexpectedly difficult. The major vein on the lateral side of the arm was too small; others were too delicate. Finally, a vein was found on the medial side of the arm that passed through the superficial and deep fascia to join veins beside the brachial artery. Which of the following veins was this?
1. Basilic
2. Lateral cubital
3. Cephalic
4. Medial cubital

Correct answer: 1. Basilic

Explanation: The basilic vein can be used for dialysis, especially when the cephalic vein is judged to be too small, as in this case. The basilic vein can be elevated from its position as it passes through the fascia on the medial side of the arm. The cephalic vein passes more laterally up the limb. The lateral cubital vein is a tributary to the cephalic vein, and the medial cubital vein joins the basilic vein-both rather superficial in position. The medial antebrachial vein courses up the midline of the forearm (antebrachium) ventrally.